Period of onset in tetanus refers to the time between-
1. First injury to spasm
2. First symptom to spasm
3. First spasm to death
4. Trismus to laryngeal spasm

Correct answer: 2. First symptom to spasm